'Berlin's edema' is seen in
1. Blunt eye trauma
2. Penetrating eye traumas
3. Chemical injury
4. Thermal injury

Correct answer: 1. Blunt eye trauma

Explanation: Ans. a (Blunt eye trauma) (Ref. Ophthalmology by Basak 4th/414)# Berlin's edema is edema after blunt trauma to the globe.Blunt Injury to EyeInjury to eyelids, conjunctiva cornea & scleraInjury to ACHyphaema (8-ball or black ball hyphaema)Injury to irisA. Iridodialysis (Partially torn iris with D-shaped pupil)B. Irideremia (traumatic aniridia)C. Retroflexion (Total inversion of iris)D. Iridoschisis (Partial thickness iris tear)E. IridocyclitisCiliary body# Spasm of accomodation# Angle recessionLens# Vossius's ring# Rosette cataract# DislocationRetina# Commotio retinae (Berlin's edema)# Macular degeneration# Ret h'ge & tears# Rhegmatous RD.